Which of the following literally means "flow of seed"
1. Anthrax
2. Clostridia
3. Gonorrhoea
4. Proteus

Correct answer: 3. Gonorrhoea

Explanation: Ans. is 'c' i.e., Gonorrhoea . Gonorrhea means flow of seed.